The pH of vagina in adult women is :
1. 4.5
2. 6.5
3. 7.5
4. 7

Correct answer: 1. 4.5

Explanation: 4.5